Caliber of a rifled gun is calculated:
1. Distance between a land and groove
2. Distance between two diagonally opposite lands
3. Distance between two diagonally opposite grooves
4. Number of spherical lead balls that can be made from one pound of lead

Correct answer: 2. Distance between two diagonally opposite lands

Explanation: Ans. Distance between two diagonally opposite lands